All age groups are included in numerator of dependency ratio except -
1. 0-5 years
2. 5-10 years
3. 20-60 years
4. > 65 years

Correct answer: 3. 20-60 years

Explanation: Numerator in dependency ratio includes:-

i) 0-14 years (option a & b)
ii) > 65 years (option d)